Maximum dose of radiation exposure during pregnancy is
1. 0.5 rad
2. 1 rad
3. 1.5 rad
4. 5 rad

Correct answer: 4. 5 rad

Explanation: The biological effects of x-rays are caused by an electrochemical reaction that can damage tissue. Embryo-fetal risks from low-dose diagnostic radiation appear to be minimal. Current evidence suggests that there are no increased risks for malformations, growth restriction, or abortion from a radiation dose of less than 0.05 Gy (5 rad). Reference: William's Obstetrics; 24th edition; Chapter 46; General Considerations and Maternal Evaluation